Ovulation is associated with sudden rise in -
1. Prolactin
2. Testosterone
3. LH
4. Oxytocin.

Correct answer: 3. LH

Explanation: Ans (c) LH(Ref: Ganong, 25th ed/p.403)A Surge of Luteinizing Hormone (LH) Is Necessary for OvulationExactly around 24-36 hrs before ovulation, estrogen increases the levels of LH. This is an example for a positive feedbackThis LH surge brings about ovulation